A doctor should not take fees for issuing certificate
1. To a govt. employee
2. Death certificate
3. Poor patient
4. Psychiatric patient

Correct answer: 2. Death certificate

Explanation: B i.e. Death certificate